Whicn is not a marker of new bone formation?
1. Alkaline phosphatase
2. Osteocalcin
3. Urine hydroxyproline
4. Pro collagen

Correct answer: 3. Urine hydroxyproline

Explanation: C i.e. Urine hydroxyl proline